Carriers  of avirulent organism is known as
1. Convalescent carriers
2. Pseudo carriers
3. Temporary carriers
4. Healthy carriers

Correct answer: 2. Pseudo carriers